Which of the following drug is used for hyperkalemia?
1. Calcium gluconate
2. Glucagon
3. Sodium phosphate
4. Chloride salts

Correct answer: 1. Calcium gluconate

Explanation: Calcium gluconate is used to decrease potassium toxicity along with insulin. Calcium chloride is 2nd choiceRef: